Most important measure to avoid subglottic edema in children is
1. Use of appropriate size endotracheal tube
2. Lubricating endotracheal tube prior to intubation
3. Administer i.v Lidocaine for all intubations
4. Administer i.v Steroids for all intubations

Correct answer: 1. Use of appropriate size endotracheal tube

Explanation: Larger outer diameter of endotracheal tube, multiple intubation attempts, children between 1-4 years are risk factors for subglottic edema and croup. So appropriate size endotracheal tube has tube used.